The administration of succinylcholine to a paraplegic patient led to the appearance of dysarrhythmias, conduction abnormalities and finally cardiac arrest. The most likely cause is –
1. Hypercalcemia
2. Hyperkalemia
3. Anaphylaxis
4. Hypermagnesemia

Correct answer: 2. Hyperkalemia

Explanation: Sch can cause dangerous hyperkalemia in paraplegic patients which may cause arrhythmias & cardiac arrest.